An -HIV drug known to cause myopathy resembling Mitochondrial myopathy with ragged red Fibers?
1. Zidovudine
2. Enfuvirtide
3. Nevirapine
4. Tenofovir

Correct answer: 1. Zidovudine